Gold is used for management of?
1. Ankylosing Spondylitis
2. Rheumatoid Arthritis
3. Psoriatic arthritis
4. Rheumatic arthritis

Correct answer: 2. Rheumatoid Arthritis

Explanation: Ans. (b) Rheumatoid ArthritisRef: Harrison 19th ed. / 2144-45* Minocycline, gold salts, enicillamine, azathioprine, and cyclosporine have all been used for the treatment of RA with varying degrees of success; however, they are used sparingly now due to their inconsistent clinical efficacy or unfavorable toxicity profile.* Drugs used in Rheumatoid arthritis* Hydroxychloroquine* Lefluonomide* Methotrexate* Abatacept* Anakinra* Rituximab